Oliguria causing drug is?
1. Acyclovir
2. Diazepam
3. Aspirin
4. Montelukast

Correct answer: 1. Acyclovir

Explanation: Ans. is 'a' i.e., Acyclovir Drugs Causing Oliguria Drugs causing decreased renal perfusion - diuretics. Drugs causing nephrotoxicity - aminoglycosides and chemotherapeutic agents. Urine retention - adrenergic and anticholinergic drugs. Urinary obstruction associated with precipitation of urinary crystals - sulfonamides and acyclovir.